Green colored urine is seen after ingestion of:
1. Copper sulphate
2. Phenol
3. Organophosphorus
4. Cyanide

Correct answer: 2. Phenol

Explanation: Ans. Phenol